"Wire loop lesion" in kidney are pathognomonic of which of the following conditions?
1. Amyloidosis
2. Systemic lupus erythematosis
3. Good pasture syndrome
4. Diabetic nephropathy

Correct answer: 2. Systemic lupus erythematosis

Explanation: Lupus nephritis showing a glomerulus with several "wire-loop" lesions representing extensive subendothelial deposits of immune complexes (periodic acid-Schiff stain). Ref: ROBBINS BASIC PATHOLOGY 10th ed Pg no: 155